Treatment of choice in acute congestive glaucoma –
1. Pilocarpine
2. Laser iridotomy
3. Timolol
4. Trabeculoplasty

Correct answer: 2. Laser iridotomy

Explanation: Treatment of choice for PACG is peripheral laser iridotomy.